Which of the following is not true about non-depolarizing muscle relaxant?
1. Mg2+ predisposes the block
2. Ca2+ antagonizes the block
3. Metabolised by pseudocholinesterase
4. Competitive inhibitor of acetylcholine

Correct answer: 3. Metabolised by pseudocholinesterase

Explanation: Among non-depolarizing blockers only mivacurium is metabolized by pseudocholinesterase. Block is potentiated by Mg2+ and Ca2+ increases the release of acetylcholine from nerve endings; thus partially antagonizes the block.